Tse-tse fly transmits -
1. Trypansoma brucei
2. T.cruzi
3. Kala-azar
4. Oriental sore

Correct answer: 1. Trypansoma brucei

Explanation: Ans. is 'a' i.e., Trypanosoma brucei Trvpanosoma brucei . It is the causative organism of sleeping sickness. . T. brucei gambiense West African sleeping sickness . T. brucei rhodesiense East African sleeping sickness . Definitive host Man Intermediate host --> Tsetse fly . Infective form to men --> Metacyclic form (metacyclic trypomastigote) . Habitat - Reticuloendothelial tissue of lymphnode and spleen. - Blood - Connective tissue spaces of various organs. - C.S.F. - Intercellular spaces in the brain.